Runners fracture occurs in which bone?
1. Fibula
2. Femur
3. Tibia
4. All of the above

Correct answer: 1. Fibula

Explanation: Ans. (a) FibulaRef: Rockwood 7th ed. ch.: 19